Brown macular pigmentation in malar area in a pregnant female is due to -
1. Acne rosacea
2. Cholasma
3. Acanthosis nigricans
4. Uicaric pigmentosa

Correct answer: 2. Cholasma

Explanation: Brown macular pigmentations over malar area is characteristic of melasma. maily effects the sun exposed areas like forehead cheeks temples and upper lip. melasma in pregnancy is called chloasma. This occurs due to hormonal changes and increased with exposure to sunlight. Iadvl textbook of dermatology , page 781